Fibroid with a typical "Lantern on top of  St Paul's cathedral" appearance is
1. Submucosal fibroid
2. subserosal fibroid
3. Cervical fibroid
4. Interstitial fibroid

Correct answer: 3. Cervical fibroid

Explanation: Cervical Fibroid is compared to "Lantern on dome of st Paul's catherdral".